A 70-year-old man presents with the deterioration of vision 3 weeks after cataract extraction and lOL implantation. Slit lamp examination shows honeycomb maculopathy and Florescinangiography (Fshows 'flower petal'hyperfluorescence. The most likely diagnosis is -
1. Age-related macular degeneration (ARMD)
2. Central Serous Retinopathy (CSR)
3. Macular Dystrophy
4. Cystoid Macular Edema

Correct answer: 4. Cystoid Macular Edema